'Falanga' is
1. Pulling of hair
2. Hitting the feet with stick
3. Electric current for torture
4. Sitting in abnormal position

Correct answer: 2. Hitting the feet with stick

Explanation: TORTURE METHODS: The methods of torture are wide and varying. (I) PHYSICAL ABUSE : (1) Beating is the commonest form. Fist, foot or an instrument, such as lathi, metal or wooden bars, whips, belts, cycle chains, etc., are used. The usual target is the back, but injuries may be seen on almost any part of the body. Abrasions, contusions, lacerations and fractures may be found. Bruises in abdominal wall and rupture of internal organs may be seen. Poking with stick, baton, rod, etc. is common. (2) Falanga (faiaka, bastinado): In this canes or rods are used to beat on the soles of the feet, or rarely to the palms of the hands or hips, which is very painful and debilitating. Contusions are found deep in the tissues. Faint red lines may be seen, and often hyperpigmentation along the lines of injury. Aseptic necrosis may occur. (3) Telefono: It consists of repeated slapping of the sides of the head (over ears) by the open palms of the assailant. This may cause rupture of ear drums and injury to the inner ear. Ref:- k s narayan reddy; pg num:-297,298